Liver is the target organ for -
1. Fasciola buski
2. Paragonimus westermani
3. Clonorchis sinensis
4. Schistosoma Haematobium

Correct answer: 3. Clonorchis sinensis

Explanation: chlonorchis sinensis In most cases the disease tends to be low grade and chronic producing only minor symptoms of abdominal distress,intermittent diarrhea and liver pain or tenderness. linked to bile duct carcinoma ( refer pgno:126 baveja 3 rd edition)